Antisera is obtained from:
1. Guinea pig
2. Rabbit
3. Rat
4. Horse

Correct answer: 4. Horse

Explanation: ANTISERA: -Antisera are usually prepared in horses -provide passive immunization - Immunoglobulin fraction is concentrated using ammonia sulfate & some products are further treated with some enzymes to decrease reactions to foreign proteins. -Antisera are used against diseases like Diphtheria, Tetanus, Rabies.